Treatment of choice for pleomorphic adenoma?
1. Enucleation
2. Radiotherapy
3. Excision of tumor (surgical removal)
4. Radical parotidectomy

Correct answer: 3. Excision of tumor (surgical removal)

Explanation: Ans. c (Excision of tumor [surgical removal) (Ref. Bailey and Love Surgery 25th/pg. 762)PLEOMORPHIC ADENOMA# Initially described as a 'mixed' salivary gland tumor# Accounts for 75% of parotid and 50% submandibular tumors# Believed to have both epithelial and mesothelial elements# Now appears to arise from ductal myoepithelial cells# Slight female predominance known# May undergo malignant change but risk is small# Little is known about the origins of these neoplasms except that radiation exposure increases the risk. Equally uncertain is the histogenesis of the various components. A currently popular view is that all neoplastic elements, including those that appear mesenchymal, are of either myoepithelial or ductal reserve cell origin (hence the designation pleomorphic adenoma).# Requires excision with 5-10 mm margin as local implantation of cells can lead to recurrence.# Treatment of choice for pleomorphic adenoma is superficial parotidectomy but, if the deep lobe of parotid is involved -Total parotidectomy is done.